The difference in molecular weight between Phenylalanine & Tyrosine is by :
1. 17
2. 16
3. 64
4. 32

Correct answer: 2. 16

Explanation: Usually students tend to mark 17 as the answer. Phenylalanine gets converted to Tyrosine by enzyme Phenylalanine Hydroxylase. Most Hydroxylases are Mono-oxygenases i.e. EC No. 1. In hydroxylation reactions, only one oxygen atom from the molecular oxygen is added because H was already present in the phenylalanine. So, change in molecular weight is by 16 and NOT 17. Extra Information: Phenylalanine is an essential amino acid and its only role in the body is to give rise to tyrosine.